An AIDs patient is presenting with watery diarrhea. What could by the causative organism.
1. Cadida
2. Vibrio cholerae
3. ETEC
4. Cryptosporidia

Correct answer: 4. Cryptosporidia

Explanation: Ans. is 'd' i.e., Cryptosporidia "Cryposporidium and Isopora are the common causes of prolonged watery diarrhea in AlDs patients". -- Clinical microbiologyImportant causes of diarrhea in AIDS patientsi) Bacteria : Salmonella, Shigella, Campylobacter, and mycobacteria avium intracellulare.ii) Fungal: Histoplasma, Coccidioides, penicillium.iii) Other: CMV, microsporidia, isospora belli, and Cryptosporidia.